All are true about presentation of Wilms tumor except
1. Painless mass
2. Fever
3. Can present in infancy
4. Bilateral involvement is common

Correct answer: 4. Bilateral involvement is common

Explanation: Wilms Tumor Children aged 2-5 years Associated with WT1 & WT2 gene mutations. C/F : Abdominal mass - can cross the midline , Hematuria , Fever Bilateral involvement is not common.